Predominantly osteoblastic metastasis is seen in?
1. Renal cell carcinoma
2. Prostate carcinoma
3. Breast carcinoma
4. Thyroid carcinoma

Correct answer: 2. Prostate carcinoma

Explanation: ANSWER: (B) Prostate carcinomaREF: With textRepeat from December 2009"Osteoblastic metastasis is less common in breast cancer but are well documented in metastatic prostate cancer" REF: Integration/interaction of oncologic growth - Gary G. Meadows Page 157"Osteoblastic metastasis occurs most commonly in prostate cancer. However other tumours that metastasize to bone or grow in bone e.g. Breast cancer, can also give rise to osteoblastic disease" REF: Textbook of bone metastases - Claude Jasmin, Rodolfo Capanna Page 41"Purely osteoblastic metastasis is most often associated with prostate and breast cancer, but also with Hodgkin's lymphoma, carcinoids and medulloblastomas. Breast cancer metastases are most commonly mixed and less commonly purely osteolytic or osteoblastic. Prostate cancer is characteristically osteoblastic"REF: Differential Diagnosis in Conventional Radiology - Francis A. Burgener, Martti Kormano, Tomi Pudas -Page 110